Narrowest part of the urethra is-
1. External meatus
2. Membranous urethra
3. Bulbous urethra
4. Internal meatus

Correct answer: 1. External meatus